In rigor mortis muscle -
1. Stiffens
2. Shortens
3. Stiffens and shortens
4. Stiffens and lengthens

Correct answer: 3. Stiffens and shortens

Explanation: In rigor mortis there is contraction, stiffening, shortening and opacity of muscles after death.